A man with intermittent hiccups feels that he is about to die because he is suffering from gastric cancer. All his radiological investigations prove the contrary. Which is the most probable diagnosis?
1. Somatization disorder
2. Hypochondriasis
3. Conversion disorder
4. Delusional disorder

Correct answer: 2. Hypochondriasis

Explanation: Ans. is 'b' i.e., Hypochondriasiso Patient with minor symptom of hiccups is preoccupied and fears for a life threatening condition (gastric cancer) --> points to the probable diagnosis of hypochondriasis.o The primary feature of hypochondriasis is persistent preoccupation with excessive fear of a serious (e.g., cancer) or incurable (e.g., AIDS) disease, which is based on person's own interpretation of physical symptoms or sensation, i.e., misinterpretation of physical symptoms or sensations, for example an occasional change in heart rate will lead a person with hypochondriasis to fear of heart disease. Therefore, Hypochondriasis is abnormal preoccupation about norma] body function, i.e., body functioning is normal but patient thinks it as abnormal.o The preoccupation with the presence of a feared illness persists inspite of normal medical assessment and investigations. Patient goes from one doctor to another for a consultation.